Which is a direct branch of arch of aorta-
1. Right subclavian artery
2. Right common carotid artery
3. Brachiocephalic trunk
4. Right coronary artery

Correct answer: 3. Brachiocephalic trunk

Explanation: Ans. is 'c' i.e., Brachiocephalic trunk o Branches of arch of aorta areBrachiocephalic trunkLeft common carotid arteryLeft subclavian arteryo Right common carotid artery and right subclavian artery arise from brachiocephalic trunk (Brachiocephalic trunk divides into right common carotid and right subclavian arteries).